Neck control comes by what age ?
1. 2 months
2. 3 months
3. 4 months
4. 5 months

Correct answer: 2. 3 months

Explanation: Ans. is 'b' i.e., 3 months Age Milestone 3 month Neck holding 5 month Rolls over 6 month Sit with support 8 month Sit without support 9 month Stand with support 12 month Stand without support, Walk with support 15 month Walk alone, creep upstair